Which of the following drug decreases plasma renin activity
1. Enalapril
2. Nefidipine
3. Hydralazine
4. Clonidine

Correct answer: 4. Clonidine

Explanation: Clonidine REF: Goodman Gillman page 525, KDT 6th edition page 547-548 Repeat from December 2008 Plasma renin activity is increased by reflex increase in sympathetic discharge. Clonidine decreases central sympathetic outflow and thus will decrease plasma renin activity. Vasodilators and ACE inhibitors result in reflex increase in plasma renin activity.